False about amoebic liver abscess
1. More common in 20- 40 years
2. More common in left lobe
3. Metronidazole is mainstay of treatment
4. Multiple abscess cannot be drained by aspiration

Correct answer: 2. More common in left lobe

Explanation: Ans. (b) More common in Left LobeRef: Sabiston 20th Edition Page 1451* Multiple abscess cannot be drained by aspiration. They need to be treated by antibiotics.* Amoebic liver abscess is MC in Right Lobe liver